Malleus and incus are derived from ?
1. 1st Arch
2. 2nd Arch
3. 3rd Arch
4. 4th Arch

Correct answer: 1. 1st Arch

Explanation: Ans. is 'a' i.e., 1st Arch